Which of the following agents are used to check sufficiency of a. Autoclaving b. Hydroclaving c. Microwaving
1. a - Bacillus atrophaeus , b - Bacillus subtilis , c - Geobacillus stearothermophilus
2. a - Bacillus subtilis , b - Bacillus atrophaeus , c - Geobacillus stearothermophilus
3. a - Geobacillus stearothermophilus , b - Bacillus subtilis , c - Bacillus atrophaeus
4. a - Bacillus atrophaeus , b - Geobacillus stearothermophilus , c - Bacillus subtilis

Correct answer: 3. a - Geobacillus stearothermophilus , b - Bacillus subtilis , c - Bacillus atrophaeus

Explanation: Thermal methods Principle Agent used to check its sufficiency 1. Autoclaving - Steam under high temperature - Temperature used in India = 121oC, >45 min ; 15 psi Geobacillus stearothermophilus 2. Hydroclaving - Steam under pressure - Temperature used = 121oC or 132oC Bacillus subtilis 3. Microwaving - Generation of convention current in heated water molecules - Frequency of 2450 MHz & wave length of 12.24 nm is used. Bacillus atrophaeus